A patient presents to the emergency department with self harm and indicates suicidal intent. Which of the following conditions does not warrant an immediate specialist assessment?
1. Formal thought disorder
2. Acute alcohol intoxication
3. Chronic severe physical illness
4. Social isolation

Correct answer: 2. Acute alcohol intoxication

Explanation: The suicidal intent in a person with formal thought disorder (most likely a patient with Schizophrenia), chronic severe physical illness and social isolation, should be taken very seriously and immediate measures taken must include assessment by a specialist. If patient has expressed suicidal intent in an inebriated state, it must still be ensured that he doesn't harm himself however a specialist assessment can be deferred till he is sober.